True about the basic structure of atherosclerosis plaque is ?
1. Concave part formed by fibrous cap
2. Convex part formed by tunica media of the vessel
3. Convex part formed by fibrous cap
4. Necrotic core contains collagen, elastin and proteoglycans

Correct answer: 3. Convex part formed by fibrous cap

Explanation: Ans. is 'c' i.e., Convex part formed by fibrous cap